Drug of choice associated with pheochromocytoma
1. Phenoxybenzamine
2. Phentolamine
3. Labetalol
4. Esmolol

Correct answer: 1. Phenoxybenzamine

Explanation: Drugs used in management of pheochromocytoma DOC is Phenoxybenzamine Ref- pubmed.com
Ref